Which of the following drugs is not used for induction of labour?
1. PGE2
2. PGE1
3. Mifepristone
4. Betamethasone

Correct answer: 4. Betamethasone

Explanation: Ans is 'd' i.e., Betamethasone o Following are the drugs used in medical induction of labour:# Prostaglandins PGE2, PGE1# Oxytocin# Mifepristone